The following is used for exocytosis
1. Calcium
2. Sodium
3. Potassium
4. All

Correct answer: 1. Calcium

Explanation: Calcium plays an important role in exocytosis Exocytosis is an active vesicular transport system